A hypertensive patient Sattu already receiving a drug 'X' to control his BP was prescribed a tricyclic antidepressant. This resulted in the abolition of the antihypertensive action of 'X'. Which of the following drug can be 'X'?
1. Enalapril
2. Clonidine
3. Atenolol
4. Diltiazem

Correct answer: 2. Clonidine

Explanation: (Ref: KDT 6/e p444) TCAs abolish the antihypertensive effect of guanethidine and Clonidine by inhibiting their transport into the adrenergic neurons.